50-year-old female presents with blisters and erosions on the skin and mucous membranes, most commonly inside the mouth. Diagnosis?
1. Pemphigus vulgaris
2. Dermatitis herpetiformis
3. Bullous pemphigoid
4. None

Correct answer: 1. Pemphigus vulgaris

Explanation: Ans. (a) Pemphigus vulgarisEarly lesions of pemphigus vulgaris show suprabasal epidermal acantholysis, clefting and blister formationBasal cells are intact giving tombstone patternThe blister cavity may contain inflammatory cells including eosinophils and rounded acantholytic cells with intensely eosinophilic cytoplasm and a perinuclear halo.